Fear is
1. A primary emotion acquires soon after birth
2. A primary emotion acquired in utero
3. A primary emotion acquires several years after birth
4. Not a primary emotion

Correct answer: 1. A primary emotion acquires soon after birth